The most common complication of IUCD is:
1. Ectopic pregnancy
2. Bleeding
3. Backache
4. Cervical stenosis

Correct answer: 2. Bleeding

Explanation: Ans. is b, i.e. BleedingRef: Park 20th/ed, p428Complication of IUCD* M/C complication-Bleeding* IInd M/C complication-Pain* Infection-Doxycycline 200mg/azithromycin 500mg should be given 1 hour before insertion to reduce infection.* Most typical infection associated with Cu T use is actinomyces.* Ectopic pregnancy-It is seen that ectopic pregnancy is 50% less likely in women using IUCD than in women using no contraception.